Pseudoparalysis in an infant is suggestive of ?
1. Acute Rheumatic fever
2. Vitamin B6 deficiency
3. Vitamin E deficiency
4. Vitamin C deficiency

Correct answer: 4. Vitamin C deficiency

Explanation: Ans. is 'd' i.e., Vit C deficiencyPseudoparalysis orT A voluntary restriction of motion because of pain, incordination or other cause, but not due to actual muscular paralysis.Causes of pseudoparalysisScurvy (vitamin C deficiency) orT OsteomyelitisSeptic (arthritis) orT Congenital syphilis